A patient with neurological problems has an elevated cerebrospinal fluid (CSF) antibody titer to measles virus. You would most likely suspect
1. Fifth disease
2. Susceptibility to chickenpox
3. Possible subacute sclerosing panencephalitis (SSPE)
4. Possible hepatitis B infection

Correct answer: 3. Possible subacute sclerosing panencephalitis (SSPE)

Explanation: (C) Possible subacute sclerosing panencephalitis (SSPE) # SSPE is thought to be caused by a measles-related virus present in the central nervous system. Most SSPE patients show elevated measles virus antibodies in serum and CSE In patients with multiple sclerosis (MS), lower CSF antibody titers have been observed, suggesting a possible etiologic role for measles virus in MS.